Following are transmitted by mosquito except ?
1. Japanese encephalitis
2. Dengue fever
3. Yellow fever
4. Plague

Correct answer: 4. Plague

Explanation: Ans. is 'd' i.e., Plague